Most reliable method of diagnosing pulmonary embolism is:
1. Plain skiagram
2. Perfusion
3. Electrocardiography
4. Angiography

Correct answer: 4. Angiography

Explanation: Ans. D i.e. Angiography Pulmonary angiography has been now replaced by CT and MR angiography